Adenoid cystic carcinoma is also known as
1. Cylindroma
2. Pindborg tumor
3. Warthins tumor
4. Pleomorphic adenoma

Correct answer: 1. Cylindroma